Not true about inferior extensor retinaculum?
1. Y shaped
2. Superior slip attached to lower end of fibula
3. Inferior slip attached to deep fascia of sole
4. Lateral attached to calcaneum

Correct answer: 2. Superior slip attached to lower end of fibula

Explanation: Ans. is 'b' i.e., Superior slip attached to lower end of fibulaInferior extensor retinaculum It is a Y-shaped band lying in front of the ankle joint.Attachments:-Stem of the inferior extensor retinaculum is attached to upper surface of calcaneus in fornt of sulcus calcanei. Passing medially the stem divides into two bands. Upper band passes upwards and medially to be attached to tibial malleolus. Lower band extends downwards and medially to blend with plantar aponeurosis.Structures passing deep to it are :1) Tibialis anterior tendon.2) Extensor hallucis longus tendon.3) Dorsal is pedis vessels.4) Deep peroneal nerve.5) Extensor digitorum longus tendons.6) Peroneus tertius tendon.